Pure word blindness occurs due to lesion in
1. Anterior cerebral artery
2. Posterior cerebral artery
3. Middle cerebral artery
4. Spinal artery

Correct answer: 2. Posterior cerebral artery

Explanation: Answer- B. Posterior cerebral arteryPure alexia almost always involves an infarct to the left posterior cerebral artery which perfuses the splenium of the corpus callosum and left visual cortex, among other things)